Which is associated with flashback phenomenon -
1. Cannabis
2. Cocaine
3. Amphetamine
4. Heroin

Correct answer: 1. Cannabis